Trendelenberg test is positive in palsy of -
1. Gluteusmaximus
2. Gluteus medius
3. Rectusfemoris
4. Vastus medialis

Correct answer: 2. Gluteus medius

Explanation: Ans. is 'b' i.e., Gluteus medius Trendeienberg test:o It tests the stability of the hip and particularly of the abductor mechanism of the limb on which the patient is standing.o Principle of the test :Normally when one leg is raised from the ground the pelvis tilts up war as on that side, through the action of the hip abductors of the standing limb.If the abductors are inefficient they are unable to sustain the pelvis against the body weight and it tilts downwards instead of rising up on the side of the lifted leg.Note that the test is performed with the patients standing on the affected leg.o Abductor mechanism :it can be compared with the lever, with the body weight being trying to tilt the pelvis down; the hip joint being the fulcrum and the abductor muscles being the power acting throught the lever arm (from the head of the femur to attachment of the abductor muscles on the greater trochanter - the neck of the femur).Causes of positive trendeienberg test:o Any failure of abductor mechanism causes dipping of the pelvic (A SIS) on the normal side.o There are three fundamental causes :1) Paralysis of the abductor muscles (Supplies gluteus medius & minimus)eg. Polio.Paralysis of superior glut era l nerve2) Marked approximation of the insertion of the abductor muscles to their origin by upward displacement of the greater trochanter ; so that the muscles are slack.eg. Severe coxa vara,dislocation o f hip3) Absence of stable fulcrum & lever arm about which the abductor muscles can act Neck femur fractureDislocation of hip,Destructruction of head as in Perthes diseases.